Congenital Coxa yarn is treated by -
1. Fixation by SP Nail
2. Osteotomy
3. Bone grafting
4. Traction

Correct answer: 2. Osteotomy

Explanation: Treatment is by a subtrochanteric corrective osteotomy.